Commonest benigm tumour of the eosophagus?
1. Leiomyoma
2. Papilloma
3. Adenoma
4. Hemangioma

Correct answer: 1. Leiomyoma

Explanation: Ans. is 'a' i.e. Leiomyoma